Salt sensation is produced by
1. Alkaloids
2. Organic substances
3. Ionizing substances
4. Acidic substances

Correct answer: 3. Ionizing substances